Name the condition in which blood by passes the liver through an abnormal connection between portal vein and hepatic vein
1. Sturge weber syndrome
2. Abernethy Malformation
3. Couvorier syndrome
4. Stockholm syndrome

Correct answer: 2. Abernethy Malformation

Explanation: Congenital absence of the portal vein (CAPV) is a rare malformation of the splanchnic venous system. No gross anatomical connections between the portal and the hepatic veins within the liver normally. In CAPV, blood carried by the superior mesenteric vein and splenic vein bypasses the liver and drains into a systemic vein and it is known as 'The Abernethy Malformation'.